The vitamin A supplement administered in "Prevention of nutritional blindness in children programme" contain –
1. 25,000 IU/ml
2. 1 Lack–IU/ml
3. 3 Lakh IU/ml
4. 5 Lakh IU/ml

Correct answer: 2. 1 Lack–IU/ml

Explanation: According to vitamin A prophylaxis programme children between 9 months and 5 years are given 9 megadoses of vitamin a concentrate at 6 month interval.
The first two doses are integrated with measles vaccination and DPT 1st Booster.
For infant the dose is 1 ml equivalent to 1 lakh IRJ and in children it is 2 ml i.e. 2 lakh.